Most sensitive indicator of recent transmission of malaria of -
1. Infant parasite rate
2. ABER
3. Spleen rate
4. Annual parasite index

Correct answer: 1. Infant parasite rate

Explanation: Infant parasite rate. It is the percentage of infants below age of 1 year showing malaria parasites in their blood films. Reference:Park's textbook of preventive and social medicine,K.Park,23rd edition,page no:261.